Site of diabetic foot ulcera) Medial Malleolusb) Lateral malleolusc) Heeld) Head of metatarsale) Head of toes
1. cd
2. bc
3. bd
4. ac

Correct answer: 1. cd

Explanation: "Diabetic ulcers commonly result from decreased protective sensation. Diabetic ulcers are usually found on the plantar surface of the foot over the metatarsal heads or heel." - Sabiston.